29 yrs male was brought to OPD by his wife giving history of aggressive behaviour with decreased social interaction and lack of self care. O/E grasp reflex present, CT scan would be showing lesion of which lobe ?
1. Frontal lobe
2. Occipital
3. Temporal
4. Parietal

Correct answer: 1. Frontal lobe

Explanation: Frontal lobe lesion manifest as: (Anterior Cerebral Artery occlusion) Aggressive and antisocial behaviour Abulia Apathy Urge incontinence Magnetic gait/Gait apraxia O/E: Primitive reflexes like grasp and rooting reflex are present.